Over extension of the posterior border of the denture causes
1. Gagging sensation
2. Epulis fissuratum
3. Sagging of the corners of the mouth
4. All of the above

Correct answer: 1. Gagging sensation